In pregnancy, there is decreased requirement of anesthetic agent b/o all except reasons
1. Higher sensitivity of nerves to LA
2. Engorged spinal veins
3. Decreased subarachnoid space
4. Increased lumbar lardosis

Correct answer: 4. Increased lumbar lardosis

Explanation: D i.e. Increased lumbar lardosis Pregnant patients display enhanced sensitivity to LA during regional anesthesia because of hormonal factors and engorgement of epidural venous plexus resulting in decreased epidural space and subarachnoid space (CSF fluid) volumeQ. This enhances the cephalad spread of LA solution during spinal and epidural anesthesia.